St Anthony fire disease is
1. Opioid poisoning
2. Cannabis poisoning
3. Ergot poisoning
4. Dhatura poisoning

Correct answer: 3. Ergot poisoning

Explanation: Ans. is 'c' i.e. Ergot poisoning In cases of ergot poisoning (also known as ergotoxicosis or traditionally, Saint anthony's fire) alkaloids accumulate in the system due to the consumption of contaminated grain products.